All of the following produce Osteoblastic secondaries except -
1. Ca Prostate
2. Carcinoid tumors
3. Ca Breast
4. Multiple myeloma

Correct answer: 4. Multiple myeloma

Explanation: Ans. is 'd' i.e., Multiple myeloma Multiple myeloma causes purely osteolytic lesions with little or no osteoblastic component (punched out lesion)